Fatal dose of potassium cyanide is?
1. 5 mg
2. 10 mg
3. 20 mg
4. 200 mg

Correct answer: 4. 200 mg

Explanation: ANSWER: (D) 200 mgREF: Textbook Of Forensic Medicine and Toxicology: Principles and Practice by Vij page 695Fatal dose of cyanide:HCN gas - 100-200 ppm in airHCN liquid- 50-60 mgKCN, NaCN- 150-300 mg (200 mg as per Parikh)